An autoimmune disease is – a) Pemphigus vulgarisb) Psoriasisc) Lichen planusd) Acne vulgaris
1. abc
2. bc
3. acd
4. bcd

Correct answer: 1. abc

Explanation: Autoimmune skin disorders

Autoimmune bullous skin disorders


Pemphigus
Bullous pemphigoid
Dermatitis herpetiformis

Lichen planus

Lichen planus is believed to be an autoimmune disorder as it often occurs concurrently with other autoimmune disorders like primary biliary cirrhosis, diabetes, chronic active hepatitis.

Psoriasis

 The theory that psoriasis is an autoimmune disorder is based on the fact that scientist have found an abnormally large number of T cells in the patch of psoriasis.

Autoimmune connective tissue disorders

Lupus erythematosus
Dermatomyositis
Scleroderma
Mixed connective tissue disease
Bechet's disease